Which pathway takes place partly in mitochondria and partly in cytoplasm.
1. Electron transport chain
2. Link reaction
3. Fatty acid synthesis
4. Gluconeogenesis

Correct answer: 4. Gluconeogenesis

Explanation: Heme synthesis
Mnemonic: These 3


Urea cycle
Pathways HUG


Gluconeogenesis
cytoplasm and mitochondria



These 3 pathways takes place partly in cytoplasm and partly in mitochondria.